Toxicity of AH26 sealer is due release of
1. Formaldehyde
2. Eugenol
3. Resin acid
4. Gluteraldehyde

Correct answer: 1. Formaldehyde